Korsakoff syndrome true is/are:
1. Can be seen in chronic alcoholics
2. Absence of intellectual decline
3. Chronic amnestic syndrome
4. All of the above

Correct answer: 4. All of the above

Explanation: Korsakoff syndrome is due to thiamine deficiency. Apart from alcoholism, malnutrition can also cause it. Korsakoff syndrome Chronic neurological complication of long term alcohol use a. Amnesia - Anterograde(m/c) > retrograde b. Learning difficulties c. Confabulations Rx = vitamin B1 oral (Thiamine) for 3 to 12 months * only 20% recover with treatment.